IOC for Bronchiectasis :
1. HRCT scan
2. Spiral CT
3. Bronchoscopy
4. Pulmonary angiography

Correct answer: 1. HRCT scan

Explanation: Ans.(a) HRCT scanRef: Harrison 19th ed. / 308e-3f 1694* The best test to evaluate the destruction and dilatation of large airways which are filled with pus in Bronchiectasis is HRCT* Spiral CT is preferred for pulmonary embolism* Pulmonary angiography is done for lung sequestration and is gold standard for pulmonary embolism.